True about synovial membrane of knee joint is
1. Invaginated posteriorly by cruciate ligament
2. Extension into prepatellar bursa
3. Covers inferior surface of both menisci
4. Extension into infrapatellar bursa

Correct answer: 1. Invaginated posteriorly by cruciate ligament

Explanation: A. i.e. Invaginated posteriorly by cruciate ligament Synovial membrane reflects from posterior aspect of joint on to the cruciate ligaments (ant. & post.) making them extrasynovial structuresQFour bursae communicate with the synovial cavity of knee joint - suprapatellar bursa, popliteal bursa, anserine (semimembranosus) bursa & gastrocnemius bursa.QCruciate ligaments are intrarticular (or intracapsular) but extra synovialQ structures.Menisci are intrarticular (capsular) & intrasynovial structures but its surface has no synovial coveringQ. It's upper surface are in contact with femoral condyle & lower surface with tibial condyle.